Epidemic ty phus cause & vector -
1. Rickettessiae prowazki & Louse
2. R. typhi & mite
3. R. conorii & tick
4. R. akari & mite

Correct answer: 1. Rickettessiae prowazki & Louse

Explanation: Ans. is 'a' i.e.. Rickettessiae prowazki & Louse Rickettsial diseasesDiseaseAgentInsect vectorMammalian reservoir1. Typhus groupa. Epidemic typhusb. Murine typhus (Endemic typhus)c. Scrub typhusR. prowazekiiR. typhiR. tsutsugamushiLouseFleaMiteHumansRodentsRodents2. Spotted fever groupa. Indian tick typhusb. Rocky mountain spotted feverc. Rickettsia] poxR.conoriiR.rickettsiiR.akariTickTickMiteRodents, dogsRodents, dogsMice3. Othersa. Q feverb. Trench feverC.bumetiiRocholimacaquintanaNilLouseCattle, sheep, goats.Humans